All of the following organisms cause malabsorption, EXCEPT:
1. Giardiasis
2. Ancylostoma duodenale
3. Strongyloides stercoralis
4. Capillaria philippinensis

Correct answer: 2. Ancylostoma duodenale

Explanation: Ancylostoma duodenale does not cause malabsorption. Its penetration through the skin can cause a pruritic erythematous rash and swelling. In the gut, the adult worm may produce epigastric pain and abnormal peristalsis. Chronic blood loss associated with it can cause anemia and hypoalbuminemia. Protozoal and helminthic infections causing malabsorption are Giardia lamblia, Cryptosporidium parvum, Isospora belli, Enterocytozoon bieneusi, Septata intestinalis, Strongyloides stercoralis and Capillaria philippinensis. Capillaria philippinensis is a nematode that can cause chronic diarrhea and malabsorption. Ref: Ray C.G., Ryan K.J. (2010). Chapter 53. Intestinal Nematodes. In C.G. Ray, K.J. Ryan (Eds), Sherris Medical Microbiology, 5e. Oxford Textbook of Medicine edited by David Alan Warrell, volume 1 page 601.